Mechanism by which IUCD does not act:
1. Chronic endometrial inflammation
2. Increase the motility of tubes
3. Inducing endometrial atrophy
4. Inhibition of ovulation

Correct answer: 4. Inhibition of ovulation

Explanation: Mechanism of Action Of IUCD: